Which of these cells is often malfunctioning in Alzheimer's disease?
1. Microglia
2. Radial glia
3. Dendrites
4. Oligodendrocytes

Correct answer: 1. Microglia

Explanation: Alzheimer's disease characterized by: * A ss amyloid deposition * Taupathy * Malfunctioning of microglial cells which play role in phagocytosis & security in brain. IOC - Functional MRI DOC - DONEPEZIL